The following drugs are useful in the treatment of isoniazid poisoning:
1. Pyridoxine
2. Diazepam
3. Bicarbonate
4. All of the above

Correct answer: 4. All of the above

Explanation: Ans. (D) All of the above style="font-size: 1.04761904761905em; font-family: Times New Roman, Times, serif">(Ref: Harrison 17th ed/Table e35.4; American academy of family physicians, )MANAGEMENT OF ISONIAZID TOXICITYFive gram of IV pyridoxine given over 5 to 10 minutes is sufficient to counteract the neurotoxic effects of isoniazid in most cases.Diazepam, 5 to 10 mg administered intravenously, is the initial approach to seizure control, with the dose repeated as necessary.The acidosis associated with isoniazid toxicity appears to be lactic acidosis secondary to the seizure activity. Therefore, as the seizures are controlled, the acidosis usually decreases in severity. Since sodium bicarbonate may assist in correcting severe cases of acidosis, its administration should be considered if the pH is less than 7.1.